Rate limiting enzyme in glycolysis?
1. Glucokinase
2. Phosphofructokinase-1
3. Phosphoglycerate kinase
4. Enolase

Correct answer: 2. Phosphofructokinase-1